What is Gamekeeper's thumb?
1. Ulnar collateral ligament injury of MCP joint
2. Radial collateral ligament injury of CMC joint
3. Radial collateral ligament injury of MCP joint
4. Ulnar collateral ligament injury of CMC joint

Correct answer: 1. Ulnar collateral ligament injury of MCP joint

Explanation: Ans. A. Ulnar collateral ligament injury of MCP jointSprain or rupture of ulnar collateral ligament (abbreviated as UCL) of first metacarpophalangeal joint is commonly known as Gamekeeper's thumb. This is the most common injury of MCP joint. It occurs when the thumb is forced into radial deviation that stresses the ulnar collateral ligament.The interaction between the thumb and first web space with skie pole grips has been blamed for the associated UCL rupture in this sport.When there is tearing of ulnar collateral ligament from its phalangeal insertion, the adductor pollicis aponeurosis may become interposed between the retracted ligament and inhibits the healing of the ligament to the proximal phalanx with closed treatment (referred to as stener's lesion).